Laparoscopy is best avoided in patients with:
1. Hypertension
2. Diabetes
3. Obesity
4. COPD

Correct answer: 4. COPD